All of the following may be associated with massive proteinuria except -a)  Amyloidsisb)  Renal vein thrombosisc)  Polycystic kidneysd)  Polyarteritis nodosa
1. ab
2. bc
3. bd
4. cd

Correct answer: 4. cd